In HIV, which part of brain show atrophy -
1. Deep white matter
2. Anterior cingulate gyrus
3. Globus pallidus
4. All

Correct answer: 4. All

Explanation: . All